Which of the following is not true about Carvedilol?
1. b1 + b2 + a1 adrenergic receptor blocker
2. Oral bioavailability is almost 80%
3. Has antioxidant property
4. Cardioprotective in CHF

Correct answer: 2. Oral bioavailability is almost 80%

Explanation: Oral bioavailability of carvedilol is 30%. It is primarily metabolized and has a t1/2 of 2-8 hrs.